Chandu, a 45 yrs male shows calcification on the Rt side of his abdomen in an AP view. In lateral view the calcification is seen to overlie the spine. Most likely diagnosis is:
1. Gallstones
2. Calcified mesenteric nodes
3. Renal stones
4. Calcified rib

Correct answer: 3. Renal stones

Explanation: In lateral view the Renal stone lies superimposed on shadow of veebral column while gall stones are seen well infront of the veebral bodies. Ref: Clinical Surgery By S. Das.